Fuel for sperm motility
1. Glucose
2. Fructose
3. Fatty acids
4. Prostatic acid phosphatase

Correct answer: 2. Fructose

Explanation: Ans. (b) Fructose